Budd-chiari syndrome is most commonly due to:
1. Hepatic vein obstruction
2. Acute portal hypertension
3. Congenital portal hypertension
4. IVC- obstruction

Correct answer: 1. Hepatic vein obstruction

Explanation: Answer is A (Hepatic vein obstruction): Budd chiari syndrome by definition is 'occlusion of hepatic vein' Obstruction of two or more major hepatic veins produces Budd chiari syndrome It is a clinical complex characterized by - - Liver enlargement (hepatomegaly) - Ascitis - Abdominal pain It is produced as a result of obstruction of two or more major hepatic veins and results from increased intrahepatic blood pressure and an inability of the massive hepatic blood from to shunt around the blocked outflow tract The most common cause of hepatic vein obstruction producing Budd chiari syndrome is hepatic vein thrombosis. Obstruction of a single main hepatic vein by thrombosis is clinically silent Budd Chiari Syndrome: It may also result from occlusion of IVC such as invasion by a tumour hut this is certainly less common. Idiopathic membranous obstruction of IVC is the most common cause of this syndrome in Japan.